According to American Society of Anesthetists, physical status scale Class III would be.
1. A normal healthy individual
2. A patient with mild systemic disease
3. A patient with severe systemic disease that is not in-capacitating
4. None of the above

Correct answer: 3. A patient with severe systemic disease that is not in-capacitating